MC anopheles vector for transmission of malaria in urban area is:
1. An stephensi
2. A. gambiae
3. Both
4. None

Correct answer: 1. An stephensi

Explanation: Ans. a. An stephensi